Short 4th metacarpal is a feature of
1. Hypothyroidism
2. Hyperthyroidism
3. Pseudohypoparathyroidism
4. Hypoparathyroidism

Correct answer: 3. Pseudohypoparathyroidism

Explanation: Seen in pseudohypoparathyroidism and Pseudo pseudo hypoparathyroidism.